Danaparoid is
1. Xa analog
2. Oral Xa inhibitor
3. Parenteral Xa inhibitor
4. Oral Direct thrombin inhibitor.

Correct answer: 3. Parenteral Xa inhibitor

Explanation: Danaparoid is a parenteral Xa inhibitor which is Drug of choice for "Heparin induced thrombocytopenia" in pregnant women as Argatroban is contraindicated.